A primigravida with 38 completed weeks of gestation has gone into labor. Oxytoxin was started to augment labor. The second messenger system through which oxytoxin acts is ?
1. cAMP
2. Phospholipase
3. cGMP
4. Tyrosine kinase

Correct answer: 2. Phospholipase

Explanation: The second messenger system through which oxytoxin acts in phospoholipase C mechanism. Hormones acting IP3- DAGor phospholipase C pathway: Acetylcholine (muscuranic) Angiotensin II ] ADH (V1 receptor ) a1 receptor adrenergic hormones Cholecystokinin Gastrin GnRH Oxytoxin TRH GHRH Substance P Ref: internet sources